Experimental caries concept was proposed by?
1. Von der Fehr
2. Brathall
3. Dean
4. Black

Correct answer: 1. Von der Fehr